Displaced transverse patella, Rx is:
1. Patellectomy
2. Tension band wiring
3. POP cast
4. Non operative

Correct answer: 2. Tension band wiring

Explanation: B i.e. Tension band wiring Fracture Patella The mechanical function of patella is to hold the entire extensor strap away from the centre of rotation of knee, there by lengthening the anterior lever arm and increasing the efficiency of the quadriceps.